One of the following is not included in the major criteria for rheumatic heart disease?
1. Arthritis
2. Carditis
3. Erythema marginatum
4. Raised ASLO titer

Correct answer: 4. Raised ASLO titer

Explanation: Guidelines of diagnosis used by the American Heart Association include major and minor criteria (ie, modified Jones criteria). In addition to evidence of a previous streptococcal infection, the diagnosis requires 2 major Jones criteria or 1 major plus 2 minor Jones criteria. Major criteria are as follows: Carditis, Migratory polyarthritis, Subcutaneous nodules (ie, Aschoff bodies), Erythema marginatum, Chorea (also known as Sydenham chorea and "St Vitus dance"). Minor criteria are as follows: Clinical findings include arthralgia, fever, and previous history of ARF. Laboratory findings include elevated acute-phase reactants (eg, erythrocyte sedimentation rate, C reactive protein), a prolonged PR interval, and supporting evidence of antecedent group A streptococcal infections (ie, positive throat culture or rapid streptococcal screen and an elevated or rising streptococcal antibody titer).